Which is the commonest ocular manifestation of Tuberculosis?
1. Phlyctenular conjunctivitis
2. Choroiditis
3. Eales' disease
4. Acute Retinal necrosis

Correct answer: 2. Choroiditis

Explanation: Phlyctenular conjunctivitis used to be most common manifestation of tuberculosis, but now it is causes by staphylococcus Eales' disease (periphlebitis retinae ) occur in tuberculosis but it is not very common. Acute retinal necrosis occurs in Herpes simplex and varicella infection not in tuberculosis. Choroiditis is by far the most common manifestation of tuberculosis.